Animal and clinical studies have shown that administration of lactated Ringer's solution to patients with hypovolemic shock may
1. Increase serum lactate concentration
2. Impair liver function
3. Improve hemodynamics by alleviating the deficit in the interstitial fluid compartment
4. Increase metabolic acidosis

Correct answer: 3. Improve hemodynamics by alleviating the deficit in the interstitial fluid compartment

Explanation: Infusion of lactated Ringer's solution is an effective immediate step, both clinically and experimentally, in managing hypovolemic shock. Use of this balanced salt solution helps correct the fluid deficit (in the extracellular, extravascular compartment) resulting from hypovolemic shock. This procedure may decrease requirements for whole blood in patients with hemorrhagic shock. If blood loss has been minimal and is controlled, whole blood transfusion may be avoided entirely. The theoretical objection to infusion of lactated Ringer's solution is that it will increase lactate levels and compound the problem of lactic acidosis. This has not been borne out in animal or clinical studies. Along with the hemodynamic improvement that follows volume restitution, liver function improves, lactate metabolism is improved, excess lactate levels drop, and metabolic acidosis improves.